Which of the following antibiotic can cause diabetes insipidus?
1. Chloramphenicol
2. Minocycline
3. Demeclocycline
4. Linezolid

Correct answer: 3. Demeclocycline

Explanation: Demeclocycline has antagonistic action on ADH and can lead to diabetes insipidus. Infact Demeclocycline is used in the treatment of SIADH.